What is the alveolar ventilation for person with vital capacity 500 mL, respiratory rate 14/min, tidal volume 500 mL and dead space 150 mL?
1. 2500 mL
2. 3500 mL
3. 4900 mL
4. 6000 mL

Correct answer: 3. 4900 mL

Explanation: Alveolar Ventilation. Alveolar Ventilation rate (V'A), measured in ml/min, is the rate of air flow that the gas exchange areas of the lung encounter during normal breathing Ref: guyton and hall textbook of medical physiology 12 edition page number:331,332,333